Most common site of subclavian artery stenosis is in part:
1. 1st
2. 2nd
3. 3rd
4. Terminal

Correct answer: 1. 1st

Explanation: Subclavian Artery is most commonly obstructed in the proximal portion -1st part proximal to the origin of vertebral and internal thoracic artery. It is focal and is usually an extension of atherosclerotic narrowing from the aortic arch into the artery. The stenosis is more common on left side - Left subclavian is involved 3 times more frequently involved than the right.